Gunstock deformity is seen in
1. Lateral condyle fracture
2. Radial head fracture
3. Ulnar head fracture
4. Supracondylar fracture of humerus

Correct answer: 4. Supracondylar fracture of humerus

Explanation: A most common complication of supracondylar fracture is malunion,
which further can lead to cubitus varus deformity.
This is because of the reason that fracture unites with the distal fragment tilted medially and in internal rotation.
This cubitus varus is usually termed as gunstock deformity.
Most common nerve damaged in supracondylar fracture: Anterior Interosseous Nerve.